Diatoms are seen in
1. Infanticide
2. Drowning
3. Hanging
4. Mummifications

Correct answer: 2. Drowning

Explanation: B. i.e. (Drowning) (3.69 - Parikh 6th)DIATOMS - is unicellular algae**, have silicaceous cell wall (Best site of sample - Bone marrow in femur**)* **Since diatoms resist putrefaction, diatom test may have some value in examination of decomposed bodies* The test is negative in dead bodies thrown in water and in dry drowning (Tissues from brain, liver and BM)*Gettler's Test used in Drowning to estimate the chloride content of blood from both sides of the heart Diagnostic features of drowning - is fine white latheary tenacious froth or foam rarely tinged with blood (other causes are - chest - compression, opium poisoning, slow asphyxia. Putrefaction).i. Cutis - anserine** - goose - skin or goose flesh - the granular and puckered appearance of the skin and "pataufs hemorrhage"**ii. Washer - woman *s hand - the slan of the hands or feat shows bleached, corrugated and sodden appearance* Commonest type of Drowning is - Suicidal**